Screening under RNTCP emphasizes on
1. Sputum microscopy
2. Chest X-ray
3. PCR
4. Sputum culture

Correct answer: 1. Sputum microscopy

Explanation: Over-reliance on chesl X-ray was a draw back of National Tuberculosis Programme (NTP) which was over come by Revised National Tuberculosis Control Programme(RNTCP) which started diagnosing patient by sputum microscopy 'A nation-wide network of RNTCP qaality assured designated sputum smear microscopy laboratories has been set up, providing appropriate, available, affordable and accessible diagnostic services for TB suspects and cases. Ref: Park 24th edition